A 60 year man had undergone cardiac bypass surgery 2 days back. Now he started forgetting things and was not able to recall names and phone numbers of his relatives. What is the probable diagnosis :
1. Depression
2. Post traumatic psychosis
3. Cognitive dysfunction
4. Alzheimer's disease

Correct answer: 3. Cognitive dysfunction

Explanation: The tendency to forget and inability to remember events immediately after cardiac bypass surgery suggests a diagnosis of cognitive dysfunction. Cognitive dysfunction present with impaired memory & intellect. Major surgery like prolonged cardiopulmonary bypass is one of the most consistent risk factors for cognitive dysfunction.